Sugarcane induced lung disease
1. Bagassosis
2. Byssinosis
3. Pneumoconiosis
4. Asbestosis

Correct answer: 1. Bagassosis